The yield strength of Austenite (NiTi alloy) is:
1. 100 Mpa
2. 240 Mpa
3. 560 Mpa
4. 700 Mpa

Correct answer: 3. 560 Mpa